Relaxation volume of lungs is equal to-
1. FRC
2. RV
3. VC
4. TLC

Correct answer: 1. FRC

Explanation: Ans. is 'a' i.e., FRC Relaxation volume* The relaxation volume is the volume of the relaxed respiratory system, i.e., the volume at which net elastic recoil of he total respiratory system is zero (the elastic recoil of chest wall is equal and opposite to that of lungs). In healthy subjects, this occurs at the end of quiet expiration, i.e., at functional residual capacity. Therefore, in healthy adults at rest FRC is essentially equal to relaxation volume of respiratory system and FRC is usually treated as synonymous with relaxation volume.* However, in real sense FRC and relaxation volume are not synonymous terms and, while the two volumes are some times equal, more often they are not, i.e., active or passive mechanisms often operate to make FRC different from relaxation volume. For example, neonates have a more compliant (less stiff) chest wall. The chest wall thus has less elastic recoil to balance that of lung, thus decreasing the relaxation volume of lung. FRC then is often maintained above relaxation volume by active mechanisms like inspiratory muscle activity and slowing of expiration.